Following is false regarding the bullet entry wound in skull ?
1. Punched in hole in outer table
2. Inner table shows bevelling surface
3. No pieces of bone are present in the bullet track
4. Wound is funnel shaped with the funnel opening in the direction in which the bullet is travelling

Correct answer: 3. No pieces of bone are present in the bullet track

Explanation: Ans. is 'c' i.e., No pieces of bone are present in the bullet track Firearm/bullet wounds in the skull Wound of entrance shows a punched in (clean) hole in the outer table. Cone shaped bone is detached from the inner table forming a crater that is larger than the hole of the outer table and shows beveling (sloping surface). Fissured fractures are seen radiating from the defect. Irregular lacerations may be seen involving the leptomeninges. Pieces of bone from the wound of entry are often driven into the cranial cavity and may establish the bullet track. At the point of exit a punched out opening is produced in the inner table and beveled opening in the outer table. The wound is funnel shaped with the funnel opening in the direction in which the bullet is travelling both in entrance and exit wound. The exit wound is larger due to deformity and tumbling of the bullet after entering the skull.